Murmur increasing with valsalva maneouvre
1. Mitral stenosis
2. HOCM
3. M.R.
4. Aortic stenosis

Correct answer: 2. HOCM